Which of the following NSAID is used for Bartter syndrome?
1. Paracetamol
2. Sulindac
3. Mefenamic acid
4. Indomethacin

Correct answer: 4. Indomethacin

Explanation: Bartter syndrome is characterised by increased prostaglandins and Indomethacin is used for the treatment of this syndrome.